What stimulates the gonads in male at 8 week to secret testosterone
1. Inhibin from corpus luteum
2. GnRH from hypothalamus of baby
3. Placental HCG
4. All of above

Correct answer: 3. Placental HCG

Explanation: Absence of Mullerian structures is suggestive of inefficient testosterone and dihydrotestosterone . Estimation of levels of anti -mullerian hormone and hcg stimulation tests are helpful in differentiating the two conditions.Children with vanishing testis will have low levels of anti-mullerian hormones and inapproprite stimulation to hcg. Reference: OP Ghai,essential paediatrics,8 th edition.page no 539